Which one of the following physiological event of cardiac cycle is responsible for QRS complex?
1. Atrial depolarization
2. Ventricular depolarization
3. Atrial repolarisation
4. Ventricular repolarisation

Correct answer: 2. Ventricular depolarization

Explanation: The P wave represents the wave of depolarization that spreads from the SA node throughout the atria. The QRS complex represents ventricular depolarization. Ventricular rate can be calculated by determining the time interval between QRS complexes. The isoelectric period (ST segment) following the QRS is the time at which the entire ventricle is depolarized and roughly corresponds to the plateau phase of the ventricular action potential. The T wave represents ventricular repolarization and is longer in duration than depolarization. The Q-T interval represents the time for both ventricular depolarization and repolarization to occur and therefore roughly estimates the duration of an average ventricular action potential.